Which of the following drugs that is known to cause dependence is most commonly abused?
1. Cocaine
2. Heroin
3. Amphetamine
4. Cannabis

Correct answer: 4. Cannabis

Explanation: m/c used illegal Drug in India Active agent- d-9 tetrahydrocannabinol (THC)Joints, marijuana , grass, pot, weed etc Preparations PREPARATIONS THC concentration Bhang (dried leaves) 1% Ganja (inflorescence) 1-2% Hashish/ Charas (Resinous exudates) 8-14% Hash oil 15- 40% Intoxication Euphoria Sense of slowing of time Sense of floating in air Reddening of conjunctiva Increased appetite Dryness of mouth Depersonalization, derealization Synesthesia, illusions Bad trip